Rejection which may appear within minutes or hours of transplantation is
1. Hyperacute Rejection
2. Acute cellular (T cell-mediated) rejection
3. Acute antibody-mediated rejection
4. Chronic Rejection

Correct answer: 1. Hyperacute Rejection

Explanation: Hyperacute RejectionThis form of rejection occurs within minutes or hours after transplantation. It occurs when preformed anti-donor antibodies are present in the circulation of the recipient.Ref: Robbins and Cotran Pathologic Basis of Disease; 9th edition; Chapter 6; Diseases of the Immune System; Page no: 233